Inhibin secreted by:
1. Granulosa cell
2. Theca cell
3. Corpus leuteum
4. Deciduas

Correct answer: 1. Granulosa cell

Explanation: Ans: A (Granulosa cell) Ref: Pal GK. Male Reproductive System. In: Textbook of Medical Physiology. Ahuja Publishing House. 2007: 54: 451.Explanation:InhibinSourceMale - Sertoli cellFemale - Granulosa cellStructureInhibin A Subunits - a. bAInhibin B Subunits - a. bBFunctionInhibit FSH secretion